Test for ACL injury is ?
1. Lachman
2. Bryants
3. Jobes
4. Hamilton

Correct answer: 1. Lachman

Explanation: Ans. is 'a' i.e., Lachman